Gas cylinder with single pin index ?
1. Oxygen
2. Air
3. Nitrogen
4. Entonox

Correct answer: 4. Entonox

Explanation: Ans. is'd' i.e., Entonox